Right bronchus is -
1. Shorter and narrower than left bronchus
2. Shorter and wider than left bronchus
3. Longer and wider than left bronchus
4. Longer and narrower than left bronchus

Correct answer: 2. Shorter and wider than left bronchus

Explanation: Ans. is 'b' i.e., Shorter and wider than left bronchus * Right principal bronchus is wider, shorter (2.5 cm long), and more vertical in the line of trachea (250 with median plane). Therefore a foreign body is most likely to lodge in the right bronchus. Right bronchus divides into epiarterial and hyparterial bronchi, passing respectively above and below the pulmonary artery, before entering the hilum.* Left principal bronchus is narrower, longer (5 cm long) and more horizontal (450 with median plane). Left bronchus crosses in front of the esophagus producing a slight constriction. Inside the lung it divides into 2 lobar bronchi: upper and lower.